All are true about Xanthogranulomatous inflammation, except:
1. Associated with TB
2. Yellow granuloma
3. Giant cells seen
4. Foam cells seen

Correct answer: 1. Associated with TB

Explanation: . Associated with TB